The antidiabetic drug with anorectic effect is
1. Liraglutide
2. Gliclazide
3. Acarbose
4. Chlorpropamide

Correct answer: 1. Liraglutide

Explanation: Oral hypoglycemic agents Enhance insulin secretion Sulfonylureas ( K-ATP channel blockers )I - TolbutamideSafer in elderly & those prone to hypoglycemia, Controls postprandial hyperglycemia II - Glibenclamide, Glipizide, Gliclazide, GlimepiridePotent drugs with lower incidence of hypoglycemic attacks Meglitinide analogues Repaglinide, NateglinideStimulates insulin secretion & limits post prandial hypoglycaemiaGLP-1 receptor agonists Exenatide, Liraglutide Lowers post prandial hypoglycaemia , fasting blood glucose , HbA1c and body weight Produces anorectic effect DPP 4 inhibitors Sitagliptin, Vida gliptin, Saxagliptin, Alogliptin, LinagliptinBoosts postprandial insulin release, decreases glucagon secretion, lowers meal time & fasting blood glucose Overcome insulin resistanceBiguanide ( AMP-K activator )Metformin Suppresses hepatic gluconeogenesis, enhances insulin-mediated glucose uptake in skeletal muscle & fat, promotes peripheral glucose utilization Thiazolidinediones ( PPARg activator )Pioglitazone, Rosiglitazone, Troglitazone Suppresses hepatic gluconeogenesis, an activator of genes regulating fatty acid metabolism & lipogenesis in adipose tissue, lowers HbA1c and insulin levels Miscellaneous drugsa-glucosidase inhibitors Acarbose , Voglibose , Miglitol Reduces post prandial glycemia , lowers HbA1C levels Amylin analogue Pramlintide Delay gastric emptying, retard glucose absorption & promotes satiety Dopamine D2 receptor agonist Bromocriptine Suppresses glycemic peak, reduce body weight SGLT - 2 inhibitor Dapagliflozin, CanagliflozinProduces round the clock glucosuria, lowers blood glucose levels